Calcitonin is used in all of the following conditions, EXCEPT:
1. Hypervitaminosis D
2. Postmenopausal osteoporosis
3. Paget's disease
4. Fanconi syndrome

Correct answer: 4. Fanconi syndrome

Explanation: The ability of calcitonin to block bone resorption and lower serum calcium makes it a useful drug for the treatment of Paget's disease, hypercalcemia, and osteoporosis. Fanconi syndrome is a disease of the proximal renal tubules of the kidney in which glucose, amino acids, uric acid, phosphate and bicarbonate are passed into the urine, instead of being reabsorbed. Treatment of children with Fanconi syndrome mainly consists of replacement of substances lost in the urine (mainly fluid and bicarbonate). Calcitonin is not indicated in this disease. In paget's disease bisphosphonates and calcitonin decrease the elevated biochemical markers of bone turnover, such as plasma alkaline phosphatase activity and urinary excretion of hydroxyproline. Ref: Bikle D.D. (2012). Chapter 42. Agents that Affect Bone Mineral Homeostasis. In B.G. Katzung, S.B. Masters, A.J. Trevor (Eds), Basic & Clinical Pharmacology, 12e.